Which of the following is the best marker for intrahepatic cholestasis of pregnancy?
1. AST & ALT (Transaminases)
2. Bile Acids
3. Bilirubin
4. Alkaline Phosphatase

Correct answer: 2. Bile Acids

Explanation: The rise in serum bile acids is sufficient in the third trimester is sufficient to confirm the clinical diagnosis of idiopathic intrahepatic cholestasis of pregnancy which is also accopanied by severe, intractable, generalized itching and sometimes clinical jaundice. Ref: Schiff's Diseases of the Liver By Eugene R. Schiff, Willis C Maddrey, MD, Macp, Willis C. Maddrey, Michael F. Sorrell, Pages 274-276; Medical Disorders in Obstetric Practice By Michael De Swiet, 284 - 286.